Oral examination of an edentulous patient should include digital palpation. Why?
1. The arch form is more accurately evaluated
2. Undercut areas may be better evaluated
3. The ridge relationship may be better evaluated
4. None of the above

Correct answer: 2. Undercut areas may be better evaluated